Miosis is caused by all EXCEPT -
1. Opiates
2. Organophosphates
3. Pontine hemorrhage
4. Cyanide

Correct answer: 4. Cyanide

Explanation: Ans. (d) CyanideRef: The Essentials ofFSM by K.S. Narayan Reddy 31st ed./ 588-89HYDROCYANIC ACID (CYANIDE POISONING)* CYANOGEN/PRUSSIC ACID is colorless, with an odor resembling bitter almond.* Hydrocyanic acid, a colorless volatile liquid found in fruits like peach, plum, bitter almond.* Cyanides (white powder) used in photography, electroplating, fumigation of ship.* It is Cytochrome oxidase and Carbonic anhydrase inhibiter.* Cause of death:# Cytotoxic and histo-toxic anoxia.# Corrosive effect on the mucous membrane, when inhaled leads to instantaneous death .Signs and Symptoms* Headache, giddiness, convulsion, seizure* Dilated & fixed pupil* Smell of bitter almond and froth at the mouth* Cyanosed face, clenched jaw* Respiratory failure leads to deathFatal dose: 60 mg of pure acid or 60 drops of crude oil of bitter almond or 200 mg of KCNTreatment* ANTIDOTE: Amyl nitrate by inhalation.* GASTRIC LAVAGE: 5% of sodium thiosulphate, sodium nitrite.PM: BRICK RED blood due to cyano-meth Hb.(BRAIN, LUNG, BLOOD, URINE, VOMITUS are preserved.)